Characteristic clinical manifestation of Schizophrenia is:
1. Confusion
2. Anxiety
3. Auditory hallucinations
4. Visual hallucinations

Correct answer: 3. Auditory hallucinations

Explanation: C. i.e. Auditory hallucinations